A pt. comes with stony hard, painless lymphnode in left supraclavicular fossa A biopsy report states Sq cell Carcinoma. What is the diagnosis :
1. Stomach carcinoma
2. Breast carcinoma
3. Lung carcinoma
4. Pancreas carcinoma

Correct answer: 3. Lung carcinoma

Explanation: Ans. is 'c' ie. Lung Carcinoma.Out of the 4 options only lung Ca is one which is of squamous cell histology (Squamous cell Ca is the mostMalignancy - risk is 40 times more than a normally placed testis.common type, about 40 - 45% of lung carcinoma, at least in smokers and in India).Rest 3 have squamous cell Carcinoma in even less than 5 - 6% of cases.Stomach -MC is Adenocarcinoma* (95%)Pancreas -MC is Duct cell adenocarcinoma* (85 - 90%)Breast -Intraductal adenocarcinoma* (85%)